A person hearing two different tones in left and right ears when presented with a single tone. This condition is called.
1. Diplacusis
2. Paracusis
3. Presbycusis
4. Hyperacusis

Correct answer: 1. Diplacusis

Explanation: (a) Diplacusis(Ref. Cummings, 6th ed., 2556)Paracusis Willisii is paradoxical hearing better in noisy surroundings and is a feature of otosclerosisPresbycusis is age related hearing lossHyperacusis is normal sounds appearing louder and is a feature of facial nerve palsy